Most common cause of hirsutism is
1. Polycystic ovary disease
2. Arrhenoblastoma
3. Cushings syndrome
4. Congenital adrenal hyperplasia

Correct answer: 1. Polycystic ovary disease

Explanation: Ans. is 'a' Polycystic Ovary disease We have already discussed that hirsutism occurs d/t androgen excess in a female and the most common cause of androgen excess is polycystic ovary disease.